About Ramelton false is -
1. Acts on both MT1 and MT2 receptors
2. Is Metabolized by cytochrome P450
3. Has high addictive potential
4. Useful in long-term treatment of insomnia

Correct answer: 3. Has high addictive potential

Explanation: Ans. is 'c' i.e., Has high addictive potential Ramelteon is the most recently FDA approved hypnotic. It is a novel agent (novel hypnotic) with high selectivity for the melatonin receptors MTI and MT2. The CYP1A2 isoform of cytochrome P450 is mainly responsible for the metabolism of ramelteon and should not be used with fluvoxamine (an inhibitor of CYP1 A2). Ramelteon is used in the treatment of insomnia when the patient has difficulty in falling asleep. Ramelteon has not been found to cause rebound insomnia or withdrawal symptoms, unlike benzodiazepines; neither does it seem to pose a risk for abuse or tolerance. Thus, unlike other hypnotics, ramelteon is not a controlled substance.